If the percentage of thymine residues in DNA is 28%. What is the percentage of cytosine?
1. 28%
2. 44%
3. 36%
4. 22%

Correct answer: 4. 22%

Explanation: According toChargaff's rulein double-stranded DNA, the total purine content is equal to the pyrimidine content. In a double stranded DNA, Chargaff's rule is followed Since =, so = 28% + = 28+28 = 56 % + = 100-(+) = 100-56% =44% As = , so = 44 /2 =22% Chargaff's Rule only applies to double-stranded DNA, due to the complementary base pairing that occurs between A-T and C-G.